Most common type of cataract following radiation is –
1. Posterior subcapsular
2. Anterior subcapsular
3. Tear drop cataract
4. Diffuse cataract

Correct answer: 1. Posterior subcapsular

Explanation: Radiation causes posterior sub capsular cataract.